An i.v. bolus dose of thiopentone leads to loss of consciousness within 10–15 sec. The patient regains consciousness in just a few minutes. This is because it is:
1. Renally excreted
2. Exhaled rapidly
3. Rapidly metabolised by hepatic enzymes
4. Redistributed from brain to other body tissues

Correct answer: 4. Redistributed from brain to other body tissues

Explanation: Thiopentone and other highly lipid soluble agents first reach the highly perfused organs like the brain. Therefore, the onset of action of these agents is very quick. However, action also terminates quickly because of redistribution to less well-perfused tissues like fat and muscle.